A feature of paralytic squint is -a) Detected by cover uncover testb) Always divergentc) Clinically called tropiad) Associated with decreased vision
1. a
2. bc
3. ad
4. ac

Correct answer: 4. ac

Explanation: Regarding cover - uncover test :- There are two primary types of cover tests :-


Alternating cover test (or simply cover test):- It is used to detect heterophoria (latent squint). The one eye is covered while the patient is focusing at distant object. In the presence of heterophoria, the eye under cover will deviate. Then the cover is removed and the movement of the eye (which was under cover) is observed. If there is inward movement on removing the cover the patient has exophoria and if the movement is outwards the patient has esophoria. The procedure is repeated on both eyes alternatively.
Unilateral cover test (cover - uncover test):- While the patient focuses on an object, the fixing eye is covered and the movement of other eye is observed. If the eye has esotropia, covering the fixing eye will cause an outwards deviation and vice-versa. Cover - uncover test is used primarily for concomitant squint for example for congenital squint. It also helps to defferentiates concomitant from paralytic squint (In concomitant squint primary deviation = secondary deviation, while in paralytic squint primary deviation < secondary deviation).